Which of the following adaptations will be apt to increase the work capacity at high altitude?
1. Increasing workload, decreasing duration of exercise
2. Increasing workload, increasing duration of exercise
3. Decreasing workload, increasing duration of exercise
4. Decreasing workload, decreasing duration of exercise

Correct answer: 3. Decreasing workload, increasing duration of exercise

Explanation: Exercise increases oxygen requirements, which must now be met in the face of this decreased oxygen. Increase workload, will increase sever O2 demand, which cannot be met at high altitude due to low partial pressure of oxygen, furthermore it can precipitate pulmonary edema. But decrease workload and increase duration, will produce a low-grade hypoxic drive. This hypoxia produces hypoxia-inducible factor-1a, which stimulate vascular endothelial growth factor (VEGF) production. This promotes angiogenesis, augmenting blood flow and supplying more oxygen to the tissues. All these changes are helpful for acclimatization